Marcus Gunn pupil along with proptosis indicates:
1. Involvement of ciliary ganglion
2. Compression of optic nerve
3. Compression of inferior division of 3rd nerve
4. Compression of sympathetic nerves of the eyeball

Correct answer: 2. Compression of optic nerve

Explanation: Ans. Compression of optic nerve